`Ischemic necrosis' in alkali burn is ?
1. Stage I
2. Stage II
3. Stage III
4. Stage IV

Correct answer: 1. Stage I

Explanation: Ans. is 'a' i.e., Stage I Alkali burns are among the most severe chemical injuries to eye. Common alkalies responsible for burns are liquid ammonia (most harmful), lime, caustic potash or caustic soda. o Clinical features are divided into three stages. 1) Acute ischemic necrosis (Stage I) :- In this stage there are signs in conjunctiva (edema, congestion, necrosis, copious discharge), cornea (sloughing, edema and opacity) and iris (iridocyclitis). 2) Reparation (Stage II) :- Conjunctival and corneal epithelium regenerate, and there is corneal neovascularization. 3) Complications (Stage III) :- Symblepharon, recurrent corneal ulceration, complicated cataract, secondary glaucoma.